Trasplantation of which one of the following organs is most often associated with hyper-acute rejection??
1. Heart
2. Kidney
3. Lungs
4. Liver

Correct answer: 2. Kidney

Explanation: Ans. is 'b' i.e., Kidney